Major basic protein is secreted by?
1. Neutrophil
2. Basophil
3. Platelet
4. Eosinophil

Correct answer: 4. Eosinophil

Explanation: Eosinophil REF: Harrison's 17th ed chapter 61 The distinctive feature of the red-staining (Wright's stain) eosinophil granule is its crystalline core consisting of an arginine-rich protein (major basic protein) with histaminase activity, important in host defense against parasites